Dialysis allows for the exchange of particles across a semipermeable membrane by which of the following actions?
1. Osmosis and diffusion
2. Passage of fluid toward a solution with a lower solute concentration
3. Allowing the passage of blood cells and protein molecules through it.
4. Passage of solute particles toward a solution with a higher concentration.

Correct answer: 1. Osmosis and diffusion

Explanation: Osmosis allows for the removal of fluid from the blood by allowing it to pass through the semipermeable membrane to an area of high concentrate (dialysate), and diffusion allows for passage of particles (electrolytes, urea, and creatinine) from an area of higher concentration to an area of lower concentration.

Option B: Fluid passes to an area with a higher solute concentration.
Option C: The pores of a semipermeable membrane are small, thus preventing the flow of blood cells and protein molecules through it.